Nucleus involved in Alzheimer's disease is
1. Superior salivary nucleus
2. Nucleus Natalia if Meynet
3. Ventro medial nucleus of thalamus
4. All of the above

Correct answer: 2. Nucleus Natalia if Meynet

Explanation: Refer Robbins page no 1290